Which is non lymphatic filarisis
1. Loa loa
2. Wucheria bancrofti
3. Brugia malai
4. Brugia timori

Correct answer: 1. Loa loa